FROMENT'S SIGN is due to which nerve injury?
1. Intercostobrachial nerve
2. Radial nerve
3. Ulnar nerve
4. Median nerve

Correct answer: 3. Ulnar nerve

Explanation: FROMENT'S SIGN/BOOK TEST: - Tests Adductor pollicis muscle - It is innervated by ULNAR NERVE - In ulnar nerve injury, when the patient is asked to grasp a book firmly b/w thumb & other fingers of both the hands, Terminal phalanx of thumb on paralysed side becomes flexed at interphalangeal joint